The chance of occurrence of 2 canals in mandibular incisor is how much in %
1. 3
2. 12-Mar
3. 22-41
4. 22-Dec

Correct answer: 3. 22-41

Explanation: Mandibular central incisor …incidence of two canals 26%...lateral incisors…28%...